Epidemics of conjunctivitis are known to occur with:
1. Bacterial infections
2. Viral infections
3. None of the above
4. Both of the above

Correct answer: 4. Both of the above

Explanation: Ans. Both of the above